A pregnant woman is able to transfer oxygen to her fetus because fetal hemoglobin has a greater affinity for oxygen than does adult hemoglobin. Why is the affinity of fetal hemoglobin for oxygen higher
1. The oxygen-binding curve of fetal hemoglobin is shifted to the right.
2. Fetal hemoglobin binds 2,3-BPG with fewer ionic bonds than the adult form.
3. There is less 2,3-BPG in the fetal circulation as compared to maternal circulation
4. The tense form of hemoglobin is more prevalent in the circulation of the fetus

Correct answer: 2. Fetal hemoglobin binds 2,3-BPG with fewer ionic bonds than the adult form.

Explanation: In adult hemoglobin 2,3-BPG binds to ionized residues in the interface between the two b-chains, thus decreasing the oxygen affinity. The g-chains of fetal hemoglobin have fewer ionized residues in the corresponding interface and bind 2,3-BPG with less affinity, which allows for a greater binding affinity for oxygen. Ref:- Lippincott textbook of Biochemistry